Locate the renal stone with pain radiating to medial side of thigh and perineum due to slipping of stone in males ?
1. At pelvic brim
2. Intramural opening of ureter
3. Junction of ureter and renal pelvis
4. At crossing of gonadal vessels and ureter

Correct answer: 1. At pelvic brim

Explanation: Ans is 'a' ie at pelvic brim The clinician is able to judge the position of the stone by the history of pain - Position of stone Site of Pain * At PUJ or upper ureter Pain radiates to the testicles * At middle of the ureter (ie at crossing of gonadal vessels and ureter) Pain is referred to Mc Burneys point on the right side resembling appendicitis and on left side simulates diverticulitis. * At lower ureter or at pelvic brim Pain is referred to inner side of thigh, groin * In the intramural ureter Strangury (painful & fruitless desire to micturate)